The target of ‘Health for All by 2000’ for reduction in the incidence of low birth weight was
1. 20%
2. 15%
3. Less than 10%
4. 30%

Correct answer: 3. Less than 10%